Which of these statements best completes the following sentence? The ulnar nerve:
1. Has the ulnar artery as a medial relation at the wrist.
2. Passes deep to the flexor retinaculum at the wrist.
3. Usually innervates the lateral two lumbricals.
4. Innervates adductor pollicis.

Correct answer: 4. Innervates adductor pollicis.

Explanation: d. The ulnar nerve supplies (in Hand) Adductor pollicis muscles of the hypothenar eminence interossei muscles lumbricals :digit 4&5 Explanationsa. ulnar artery lies lateral to the ulnar nerve and the radial artery lies medial to the radial nerve.The ulnar and radial arteries lie between their respective nerves at the wrist. b. It enters the hand, with the ulnar artery, by passing through Guyon's canal, which is superficial to the flexor retinaculum. c. The medial two lumbricals are innervated by the ulnar nerve. The lateral two are usually supplied by the median nerve.